1 equivalent of Ca2+ ion is equal to:
1. 10 gram
2. 20 gram
3. 30 gram
4. 40 gram

Correct answer: 2. 20 gram

Explanation: The concept of electrical equivalence is important in physiology because many of the solutes in the body are in the form of charged particles. One equivalent (eq) is 1 mol of an ionized substance divided by its valence. One mole of NaCl dissociates into 1 eq of Na+ and 1 eq of Cl-. One equivalent of Na+ = 23 g, but 1 eq of Ca2+ = 40 g/2 = 20 g. The milliequivalent (meq) is 1/1000 of 1 eq. Ref: Ganong's Review of Medical Physiology 23rd edition, Chapter 1.